Fever is caused by:
1. IL 3
2. IL 6
3. IL 5
4. IL 9

Correct answer: 2. IL 6

Explanation: Ans. b. IL 6